All of the following explains diagnosis of Asthma except
1. After administering bronchodilator FEV1 increase to > 200mL within 15 minutes
2. PEFR shows diurnal variation of >20%
3. >12% reversibility in FEV1 on administering bronchodilator
4. Diffusion Lung Capacity for carbon monoxide is decreased

Correct answer: 4. Diffusion Lung Capacity for carbon monoxide is decreased

Explanation: DLCO is normal in Asthma.